Amber codon is
1. UAA
2. UAG
3. UGA
4. UGG

Correct answer: 2. UAG

Explanation: Name of Stop codons: UAG - Amber codon UGA - Opal codon UAA - Ochre codon